The following tests are used to check the efficiency of pasteurization of milk except :
1. Phosphatase test
2. Standard plate count
3. Coliform count
4. Methylene blue reduction test

Correct answer: 4. Methylene blue reduction test

Explanation: Methylene blue Reduction test is a indirect test for detection of microorganism in milk. It is carried out on milk prior to the process of pasteurization and is not used to check the efficiency of pasteurization. Ref: Alcamo's Laboratory Fundamentals of Microbiology By Jeffrey Pommerville, 2010, Page 297